Which is not a feature of Netherton Syndrome?
1. Autosomal dominant
2. Ichthyosis
3. Very short hair
4. Erythroderma

Correct answer: 1. Autosomal dominant

Explanation: This autosomal recessive disorder is characterized by ichthyosis (usually ichthyosis linearis circumflexa but occasionally the lamellar or congenital ichthyosiform erythroderma types), trichorrhexis invaginata and other hair shaft anomalies, and atopic diathesis. Mutations in the gene SPINK 5, which encodes a serine protease inhibitor, have been identified in patients with Netherton syndrome.